Tapeworm is found mainly in-
1. Liver
2. Stomach
3. Caecum
4. Ileum ,jejunum

Correct answer: 4. Ileum ,jejunum

Explanation: Ans. (d) Ileum & jejunumRef: Chatterjee 12th ed. /116* Tapeworm infection can also be caused by eating raw or undercooked meat from an animal or a fish that has the larval form of the tapeworm cysts in its muscle tissue.* Once ingested, the larvae then develop into adult tapeworms in the small intestine (jejunum and ileum).TAPEWORMS* Taenia saginata: The beef tapeworm* Taenia solium: The pork tape worm* The habitat of tapeworms: Small intestine (upper jejunum)* Definitive host: Man* Intermediate host: Cattle (cow or buffalo) for T. Saginata Pig for T. Solium.